Odontectomy is:
1. Tooth division or tooth splitting technique.
2. Transalveolar extraction.
3. Intra-alveolar extraction.
4. Method of bone removal.

Correct answer: 2. Transalveolar extraction.

Explanation: Odontotomy - tooth division or tooth splitting technique.
Odontectomy - is synonymous to transalveolar extraction.